Retrospective evaluation of medical performance is known as -
1. Medical audit
2. Medical evaluation
3. Performance evaluation
4. Professional screening

Correct answer: 1. Medical audit

Explanation: Ans. is `a' i.e., medical Audit